Aseptic autolysis is seen in:
1. Adipocere
2. Maceration
3. Putrefaction
4. Mummification

Correct answer: 2. Maceration

Explanation: Ans. Maceration